Transamination reaction isa) Net deamination with splitting of NH3 b) α-ketoglutarate is NH2 donorc) Transaminase enzyme & pyridoxal PO4 binding is covalentd) Glutamate is formede) Non reversible pingpong reaction
1. ab
2. bc
3. cd
4. ac

Correct answer: 3. cd

Explanation: Transamination and deamination are a different process (option 'a' is wrong):-
i) Transamination: Transfer of amino group from α-amino acid to α-keto acid.
ii)Deamination: Release of nitrogen as ammonia from glutamate.
α-Ketoglutarate is an acceptor of the amino group (not donor). The donor of the amino group is a-amino acid.
Transamination is catalyzed by transaminases and coenzyme pyridoxal phosphate (PLP) is present at the catalytic site of all transaminases.
During transamination, glutamate is formed.
Transamination reactions are readily reversible and therefore also function in amino acid biosynthesis. Transamination occurs via a 'ping-pong mechanism' in which the first substrate bound and its product is released prior to the binding of the second substrate.